Which of the following is an example of proliferation signal inhibitor?
1. Tacrolimus
2. Sirolimus
3. Cyclosporine
4. None of the above

Correct answer: 2. Sirolimus

Explanation: A new class of immunosuppressive agents called proliferation-signal inhibitors (PSIs) includes sirolimus (rapamycin) and its derivative everolimus. Ref: Katzung 11th edition Chapter 51.